Glycopeptide bond is cleaved by ?
1. Endopeptidase
2. Exopeptidase
3. Glycosidase
4. Trypsin

Correct answer: 3. Glycosidase

Explanation: Ans. is 'c' i.e., Glycosidase glycopeptide bonds can be hydrolysed by glycosidases."A number of endoglycosidases and glycosidases have been effectively employed to split N- and 0- glycosidic bonds in structural investigations"